Organ least affected in blast injuries
1. Lung
2. Liver
3. Tympanic membrane
4. Intestines

Correct answer: 2. Liver

Explanation: Tympanic membrane (TM) rupture is the most common primary blast injury. Other common organs are lung and intestine.The solid organs are more resistant to primary blast.Ref: Bailey and love 27e pg: 431